Regarding neonatal circumcision, which one of the following is true –
1. It should be done without anaesthesia, as it is hazardous to give anaesthesia
2. It should be done without anesthesia, as neonates do not perceive pain as adults
3. It should be done under local anaesthesia only
4. General anaesthesia should be given to neonate for circumcision as they also feel pain as adults

Correct answer: 3. It should be done under local anaesthesia only

Explanation: Neonates have immature brain, however they feel pain and analgesia is required.
Circumcision is a painful procedure, therefore the American Academy of Pediatrics recommends using some type of local anesthesia for newborn circumcision. Several types of anaesthesia are available, including numbing cream or injecting a small amounts of anaesthetic around the penis. These are generally considered safe.
Some text books (like S. Das operative surgery and Lee's have) different opinion. According to them neonatal circumcision should be done in general anaesthesia. But following statement will clear all doubts :-

"Local anaesthesia is all that is required for circumcision in neonate. General anaesthetics present unnecessary risks, including neurotoxicity that may affect the development of neuronal structures in brain. This adds to general advice that circumcision is best done using a local anesthetic".